Bilateral lymphadenopathy , along with non caseating granulomas is a characteristic feature of
1. Sarcoidosis
2. Scleroderma
3. SLE
4. Stein-leventhal syndrome

Correct answer: 1. Sarcoidosis

Explanation: Patients are usually evaluated for possible sarcoidosis based on two scenarios .In the first scenario, a patient may undergo biopsy revealing a noncaseating granuloma in either a pulmonary or an extrapulmonary organ. In the second scenario, signs or symptoms suggesting sarcoidosis such as the presence of bilateral adenopathy may be present in an otherwise asymptomatic patient or a patient with uveitis or a rash consistent with sarcoidosis. Ref Harrison 19th edition pg 2205-2206